Nitro-blue tetrazolium test is done for?
1. Chronic glomerulonephritis
2. Chronic granulomatous disorder
3. Acute granulomatous disease
4. Chediak Higashi syndrome

Correct answer: 2. Chronic granulomatous disorder

Explanation: Ans. (b) Chronic Granulomatous disorderRef: Robbin's pathology 9th ed. /237-238Nitro blue tetrazolium is used in a diagnostic test, particularly for chronic granulomatous disease. When there is an NADPH oxidase defect, the phagocyte is unable to make reactive oxygen species or radicals required for bacterial killing. As a result, bacteria may thrive within the phagocyte. The higher the blue score, the better the cell is at producing reactive oxygen species.